The normal narrowing in the middle of the oesophagus is caused by -
1. Azygos vein
2. Hemiazygos vein
3. Right main stem bronchus
4. Left main stem bronchus.

Correct answer: 4. Left main stem bronchus.

Explanation: Left main stem bronchus crosses the esophagus.